Octreotide is used in all except?
1. Insulinoma
2. Glucagonoma
3. Glioma
4. Carcinoids

Correct answer: 3. Glioma

Explanation: Ans. is 'c' i.e., Glioma o Octeride is used in acromegaly, bleeding esophalgeal varices (portal hypertension), insulinoma and secretory diarrhea associated with carcinoids, WDHA syndrome, gastrinomas and glucagonoma.